All the following are to be monitored during Magnesium sulfate prophylaxis in impending eclampsia Except
1. Patellar reflex
2. Respiratory Rate
3. Urine output
4. Serum magnesium level

Correct answer: 4. Serum magnesium level

Explanation: Magnesium sulfate toxicity:Therapeutic levels: 4-5meq/lThe first sign of impending toxicity: 8-10meq/l Deep tendon reflexes should be presentRespiratory depression or paralysis: 12meq/l Respiratory rate: >14breaths/min; Pulse oximetry: >96%Urine output: at least 30ml/hrFetal side effects : loss of fetal muscle tone and lethargyRef: William's Obstetrics; 24th edition; Chapter 40